After falling from a height, a child lands on his fully out stretched hands. On examination there is pain and swelling over his right elbow. Give your probable diagnosis:
1. Fracture olecranon
2. Post dislocation of elbow
3. Supra condylar fracture of humerus
4. Fracture both bones forearm

Correct answer: 3. Supra condylar fracture of humerus

Explanation: C i.e. Supra condylar fracture of humerus The elbow is the second only to distal forearm for frequency of fractures in childrenQ. Most of these injuries are supra condylar fractureQ, the remainder being divided between condylar, epicondylar and proximal radial and ulnar fractures. So this question is based on this concept only. Now lets quickly go through the mechanisms of different fractures.